An adolescent male developed vomiting and diarrhoea 1 hour after having food from a restaurant. The most likely pathogen is
1. Clostridium perfringes
2. Vibrio parahaemolyticus
3. Staphylococcus aureus
4. Salmonella

Correct answer: 3. Staphylococcus aureus

Explanation: Incubation period: Staphylococcus aureus - 2 to 6 hours Salmonella - 12 to 24 hours Clostridium perfringens - 8 to24 hours Vibrio parahemolyticus-24hrs to 5 days Ref: Textbook of Ananthanarayan and paniker's; 10th Edition; Pg:204,307,260,313